Hybridoma used in:
1. In situ hybridization
2. Sequencing DNA
3. Production of monoclonal antibodies
4. Production of continuous cell lines

Correct answer: 3. Production of monoclonal antibodies

Explanation: ln 1975, George Kohler and Cesar Milstein created hybrid cells that will make unlimited quantities of antibodies with defined specificities, which are termed as monoclonal antibodies . This discovery know as hybridoma technology Principle - fusion between myeloma cell (malignant plasma cell) and spleen cell from a immunized animal. Hybridoma technology can make available highly specific antibodies in abundant amounts. use of monoclonal antibodies Example of monoclonal ab trastuzumab - EGRF/HER2 INHIBITORS BEVACIZUMAB - ANGIOGENESIS INHIBITORS